Satiety center is located at?
1. Ventromedial nucleus
2. Lateral hypothalamus
3. Supra median nucleus
4. Preoptic nucleus

Correct answer: 1. Ventromedial nucleus

Explanation: ANSWER: (A) Ventromedial nucleusREF: Ganongs 22nded chapter 14See APPENDIX-12 for "THE HYPOTHALAMIC NUCLEI"Hypothalamic regulation of the appetite for food depends primarily on the interaction of two areas: a lateral "feeding center" in the bed nucleus of the medial forebrain bundle at its junction with the pallidohypothalamic fibers and medial "satiety center" in the ventromedial nucleus